In varicocele surgery, venous drainage is done by:
1. IVC
2. Aorta
3. Superior epigastric vein
4. Cremasteric vein

Correct answer: 4. Cremasteric vein

Explanation: Treatment* High inguinal ligation (near deep ring) of pampiniform plexus of veins* Microvascular sub inguinal ligation (best results)* Palomo's operation: ligation of Left Gonadal Vein in retroperitoneum * Alternative venous drainage cremasteric veins